Which of the following is not a rate limiting enzyme of TCA cycle?
1. Citrate synthase
2. Alpha ketoglutarate dehydrogenase
3. Isocitrate dehydrogenase
4. Succinate dehydrogenase

Correct answer: 4. Succinate dehydrogenase

Explanation: Option a,b,c are the rate limiting enzymes of TCA cycle.